All of the following helps in the diagnosis of leishmaniasis except:
1. Aldehyde test
2. Blood smear
3. Immobilisation test
4. Examination of the bone marrow

Correct answer: 3. Immobilisation test

Explanation: Ans. C: Immobilisation test There are several tests to diagnose Kala-azar like serological tests, demonstration of Leishmania, aldehyde test, Leishmanin test and supportive hematological tests. The only way to confirm the diagnosis of Kala-azar is demonstration of Leishmania in aspirates of bone marrow, spleen, liver or lymph nodes. After isolation of Leishmania the parasite should be cultured to confirm the identity of the Leishmania. The direct visualization of Leishmania amastigotes in peripheral blood smears is an easy method for the diagnosis of symptomatic VL. Among the serological tests ELISA (enzyme linked immunosrbent assay) is the most popular because it is a simple test to perform after collecting the whole blood in a filter paper and used for diagnosis as well as epidemiological studies. Other serological tests used for diagnosis of Kala-azar are Direct Agglutination test (DAT), Indirect Fluorescent Antibody test (IFAT) and rk39 dipstick test. Hematological findings of Kala-azar are progressive leucopenia, low hemoglobin, reverse albumin:globulin ratio, increased ESR (erythrocyte sedimentation rate) and increased IgG.